Gluteus maximus is supplied by
1. Superior gluteal nerve
2. Inferior gluteal nerve
3. Nerve to quadratus femoris
4. Sciatic nerve

Correct answer: 2. Inferior gluteal nerve

Explanation: INFERIOR GLUTEAL NERVE:- Root value:L5,S1,S2Course: Enters gluteal region through greater sciatic notch below pyriformis muscle.Branches: Gluteus maximus.It is the sole supply to the large antigravity, postural muscle with red fibers, responsible for extending hip joint. SUPERIOR GLUTEAL NERVE Root value: L4,L5,S1Course: enters the gluteal region through greater sciatic notch above pyriformis muscle. Runs between gluteus medius and gluteus minimus to end in tensor fascia lata. Branches :-it supplies 1. Gluteus medius 2. Gluteus minimus3. Tensor fascia lata SCIATIC NERVE:-Root value: L4,L5,S1,S2,S3 ventral rami Thickest nerve in the body.Terminal branch of lumbosacral plexus.Tibial part and common peroneal part. Tibial part:ventral division of ventral rami of L4,L5,S1,S2,S3.Common peroneal part: dorsal division of ventral rami of L4, L5, S1, S2. Course: arises in pelvis.Leaves pelvis by passing through greater sciatic foramen below pyriformis to enter gluteal region.In gluteal region, it lies deep to gluteus maximus and crosses superior and inferior gamellus, obturator internus, quadratus femoris to reach thigh.During its short course it lies between ischial tuberosity and greater trochanter.Gives no branches in gluteal region. Branches:--Muscular1. From tibial part: semitendinosus, semimembranosus, long head of biceps femoris, ischial part of Adductor Magnus.2. From common peroneal :Short head of biceps femoris. Articular: hip joint Terminal:tibial and common peroneal. {Reference: BDC 6E pg no.173}